All of the following are the indications to use ACE inhibitor except
1. Hypertension
2. Myocardial infarction
3. Left ventricular dysfunction
4. Pheochromocytoma

Correct answer: 4. Pheochromocytoma

Explanation: Refer kDT 6/e p 486,487 ACE Inhibitors are useful in hypertension, myocardial infarction and left ventricular dysfunction. This should be avoided in high renin like pheochromocytoma due to the risk of severe postural hypotension